All of the following drain into middle meatus, EXCEPT:
1. Lacrimal duct
2. Maxillary sinus
3. Frontal sinus
4. Ethmoidal sinus

Correct answer: 1. Lacrimal duct

Explanation: The lacrimal gland lies in the superolateral corner of the orbit. Tears drain from the eyeball, the nasolacrimal duct, into the inferior nasal meatus of the nasal cavity. The lacrimal gland is innervated by visceral motor parasympathetic neurons from CN VII.